All of the following conditions may predispose to pulmonary embolism except -
1. Protein S deficiency
2. Malignancy
3. Obesity
4. Progesterone therapy

Correct answer: 4. Progesterone therapy

Explanation: "Oesterogen predisposes to thrombosis and not progesterone" -